Which of the following is not a side effect of clozapine:
1. Agranulocytosis
2. Seizures
3. Sialosis
4. Weight loss

Correct answer: 4. Weight loss

Explanation: Ref: KDT 6/e p429 Clozapine and other atypical antipsychotic resulting weight gain.